The histological features of coeliac disease include all of the following Except -
1. Crypt hyperplasia
2. Increase in thickness of the mucosa
3. Increase in intraepithelial lymphocytes
4. Increase in inflammatory cells in lamina propyria

Correct answer: 2. Increase in thickness of the mucosa

Explanation: Ans. is 'b' i.e., Increase in thickness of mucosaPathological features o In celiac disease proximal intestine is commonly involved while in tropical sprue whole of the intestine is involved. o Biopsy of intestine in celiac sprue demonstrates. Villous atrophy, loss of microvilli brush border The crypts are hyperplastic and become elongated. Presence of following cells on lamina propria Plasma cells, Lymphocytes, Macrophages, Eosinophiis, Mast cells Remember that overall mucosal thickness remains same in celiac sprueo Celiac ds. is associated with dermatitis herpetif brnis.o Individuals with celiac disease have a highter incidence of malignancy ---> enteropathy associated T-cell lymphoma (most common), small intestine adenocarcinoma.